To improve contrast, KVP must be
1. Increased
2. Decreased
3. Remain same
4. Contrast and KV P are not related at all.

Correct answer: 2. Decreased

Explanation: - To improve contrast, KVP must be decreased. - KVP is Directly proportional to Energy of X-rays /Quality/Penetration powerand Inversely proportional to Contrast.